IP3/DAG pathway is activated by which of the following?
1. Protein kinase A
2. Protein kinase C
3. Phospholipase C
4. Phospholipase A

Correct answer: 3. Phospholipase C

Explanation: ANSWER: (C) Phospholipase CREF: Guyton s physiology 12th edition page 890, KDT 6th edition page no 46See APPENDIX- 84 below "ENDOCRINE GLANDS, HORMONES, AND THEIR FUNCTIONS AND STRUCTURE"Phospholipase C catalyzes the breakdown of some phospholipids in the cell membrane, especially phosphatidylinositol biphosphate (PIP2), into two different second messenger products: inositol triphosphate (IP3) and diacylglycerol (DAG). The IP3 mobilizes calcium ions from mitochondria and the endoplasmic reticulum, and the calcium ions then have their owm second messenger effects, such as smooth muscle contraction and changes in cell secretion. DAG, the other lipid second messenger, activates the enzyme protein kinase C (PKC), which then phosphorylates a large number of proteins, leading to the cell's responseSummary:IP3/DAG is activated by Phospholipase CIP3/DAG activates protein kinase C (PKC) APPENDIX- 84ENDOCRINE GLANDS, HORMONES, AND THEIR FUNCTIONS AND STRUCTURE:REF: Guyton 11th edition page 907Gland,'TissueHormonesMajor FunctionsChemicalStructureHypothalamusThyrotropin-releasing hormone (TRH)Stimulates secretion of TSH and prolactinPeptideCorticotropin-releasing hormone (CRH)Causes release of ACTHPeptideGrowth hormone-releasing hormone (GHRH)Causes release of growth hormonePeptideGrowth hormoneinhibitory hormone (GHIH) (somatostatin)Inhibits release of growth hormonePeptideGonadotropin-releasing hormone (GnRH)Causes release of LH and FSHPeptideDopamine or prolactin- inhibiting factor (P1F)Inhibits release of prolactinAmineAnterior pituitaryGrowth hormoneStimulates protein synthesis and overall growth of most cells and tissuesPeptideThyroid-stimulating hormone (TSH)Stimulates synthesis and secretion of thyroid hormones (thyroxine and triiodothyronine)PeptideAdrenocorticotropic hormone (ACTH)Stimulates synthesis and secretion of adrenocortical hormones (cortisol, androgens, and aldosterone)PeptideProlactinPromotes development of the female breasts and secretion of milkPeptideFollicle-stimulating hormone (FSH)Causes growth of follicles in the ovaries and sperm maturation in Sertoli cells of testesPeptideLuteinizing hormone (LH)Stimulates testosterone synthesis in Leydig cells of testes; stimulates ovulation, formation of corpus luteum, and estrogen and progesterone synthesis in ovariesPeptidePosterior pituitaryAntidiuretic hormone (ADH) (also called vasopressin)Increases water reabsorption by the kidneys and causes vasoconstriction and increased blood pressurePeptideOxytocinStimulates milk ejection from breasts and uterine contractionsPeptideThyroidThyroxine (T4) and triiodothyronine (T3)Increases the rates of chemical reactions in most cells, thus increasing body metabolic rateAmineCalcitoninPromotes deposition of calcium in the bones and decreases extracellular fluid calcium ion concentrationPeptideAdrenal cortexCortisolHas multiple metabolic functions for controlling metabolism of proteins, carbohydrates, and fats; also has anti-inflammatory effectsSteroidAldosteroneIncreases renal sodium reabsorption, potassium secretion, and hydrogen ion secretionSteroidAdrenal medullaNorepinephrine, epinephrineSame effects as sympathetic stimulationAminePancreasInsulin (b cells)Promotes glucose entry in many cells, and in this way controls carbohydrate metabolismPeptide Glucagon (a cells)Increases synthesis and release of glucose from the liver into the body fluidsPeptideParathyroidParathyroid hormone (PTH)Controls serum calcium ion concentration by increasing calcium absorption by the gut and kidneys and releasing calcium from bonesPeptideTestesTestosteronePromotes development of male reproductive system and male secondary sexual characteristicsSteroidOvariesEstrogensPromotes growth and development of female reproductive system, female breasts, and female secondary sexual characteristicsSteroidProgesteroneStimulates secretion of "uterine milk1' by the uterine endometrial glands and promotes development of secretory apparatus of breastsSteroidPlacentaHuman chorionic gonadotropin (HCG)Promotes growth of corpus luteum and secretion of estrogens and progesterone by corpus luteumPeptideHuman somatomammotropinProbably helps promote development of some fetal tissues as well as the mothers breastsPeptideEstrogensSee actions of estrogens from ovariesSteroidProgesteroneSee actions of progesterone from ovariesSteroidKidneyReninCatalyzes conversion of angiotensinogen to angiotensin I (acts as an enzyme)Peptide1,25-DihydroxycholecaldferolIncreases intestinal absorption of calcium and bone mineralizationSteroidErythropoietinIncreases erythrocyte productionPeptideHeartAtrial natriuretic peptide (ANP)Increases sodium excretion by kidneys, reduces blood pressurePeptideStomachGastrinStimulates HC1 secretion by parietal cellsPeptideSmall intestineSecretinStimulates pancreatic acinar cells to release bicarbonate and waterPeptideCholecystokinin (CCK)Stimulates gallbladder contraction and release of pancreatic enzymesPeptideAdipocytesLeptinInhibits appetite, stimulates thermogenesisPeptide GENERAL FEATURES OF HORMONE CLASSES. Group IGroup IITypesSteroids, iodothyronines, calcitriol, retinoidsPolypeptides, proteins, glycoproteins, catecholaminesSolubilityLipophilicHydrophilicTransport proteinsYesNoPlasma half-lifeLong (hours to days)Short (minutes)ReceptorIntracellularPlasma membraneMediatorReceptor-hormone complexcAMP, cGMP, Ca2+, metabolites of complex phosphoinositols, kinase cascades CLASSIFICATION OF HORMONES BY MECHANISM OF ACTIONI. HORMONES THAT BIND TO INTRACELLULAR RECEPTORS> Androgens> Estrogen> Calcitriol (l,252-D3)> Glucocorticoids> Mineralocorticoids> Progestins> Retinoic acid> Thyroid hormones (T3 and T4)II. HORMONES THAT BIND TO CELL SURFACE RECEPTORS/ HORMONES USING SECOND MESSENGER SYSTEMSAdenylyl Cyciase-cAMP secondmessenger systemIP3-DAG System or Phospholipase C SecondMessenger SystemCalcium Calmodulin system* Adrenocorticotropic hormone (ACTH)* Angiotensin II (epithelial cells)* Calcitonin* Catecholamines (b receptors)* Corticotropin-releasing hormone (CRH)* Follicle-stimulating hormone (FSH)* Glucagon* Human chorionic gonadotropin (HCG)* Luteinizing hormone (LH)* Parathyroid hormone (PTH)* Secretin* Somatostatin* Thyroid-stimulating hormone (TSH)* Melanocyte-stimulating hormone* Vasopressin (V2 receptor,epithelial cells)* Angiotensin II (vascular smooth muscles)* Catecholamines (a receptors)* Gonadotropin-releasing hormone (GnRH)* Growth hormone-releasing hormone (GHRH)* Oxytocin* Thyroid-releasing hormone (TRH)* Vasopressin (VI receptor, vascular smooth muscle)* Adenylyl cyclase* Phosphodiesterase* Ca2+ /calmodulin dependent protein kinases.* Phosphoprotein phosphatases* Phospholipase A2. and* Troponin C.cGMP second messenger system* Nitric oxide* Atrial natriuretic factor